Which of the following actions is not caused by H1 receptor -
1. Vasocontriction
2. Gastric acid secretion
3. | Permeability
4. Bronchoconstriction

Correct answer: 2. Gastric acid secretion

Explanation: Ans. is 'b' i.e., Gastric acid secretion Gastric secretion is H2mediated.